Hemivertebra is a defect of:
1. Body
2. Transverse process
3. Spine
4. Posterior vertebral arches

Correct answer: 1. Body

Explanation: Ans. A. Bodya. Vertebral bodies mainly develop from ventral sclerotome (VS) and thus hemivertebra is a defect of VS.b. Hemivertebra can lead to defects in the vertebral column - scoliosis.c. Posterior vertebral arches (PVA) contribute mainly to the lamina & spines. PVA are contributed by the dorsal sclerotome.